Drug used as pharmacological stress in stress echo
1. Dopamine
2. Dobutamine
3. Isoprenaline
4. Nitroprusside

Correct answer: 2. Dobutamine

Explanation: Pharmacological stress : Dobutamine.
Physiological stress : Ttreadmill or bicycle exercise.